A couple having unprotected intercourse for one year and not able to conceive presents to infertility clinic. Woman has normal menstrual cycle. Semen analysis shows abnormal sperm morphology, low count and normal volume. Best next step would be:
1. Perform HSG in woman
2. Check LH, FSH levels
3. Repeat test
4. Get a scrotal USG done

Correct answer: 3. Repeat test

Explanation: Ans. is c, i.e. Repeat testRef: Williams Gynae 3rd/ed, fig 19.11, p445If a semen analysis report comes abnormal then a repeat semen analysis should be done at 1 month interval. If that also comes abnormal then other investigations should be done.